Which is NOT TRUE with regards to antibiotic resistance in bacteria?
1. Most common mechanism is production of antibiotic destroying enzymes
2. Lack of target binding site may be mechanism of resistance in some enterococci against vancomycin
3. Plasmid mediated resistance is transmitted only vertically
4. Target binding shifting is the mechanism in some pneumococci

Correct answer: 3. Plasmid mediated resistance is transmitted only vertically

Explanation: Plasmid mediated resistance can be transmitted both horizontally and vertically. Routes of horizontal transfer of plasmid mediated resistance are conjugation, transduction and transformation. 3 main mechanisms of drug resistance: Production of beta lactamases: Most common mechanism of penicillin resistance in both gram +ve and -ve bacteria. Alteration of PBP (penicillin binding proteins ): Seen in gram +ve bacteria. This is the basis for methicillin resistance in MRSA also basis for penicillin resistance in pneumococci and enterococci. Impaired penetration: Seen only in gram -ve bacteria PBP are localised on outer surface of cell membrane and not on cell wall. PBP are essential for synthesis of cell wall.